Central dot sign is seen in-
1. Caroli's disease
2. Primary sclerosing cholangitis
3. Polycystic liver disease
4. Liver hamartoma

Correct answer: 1. Caroli's disease

Explanation: Ans. is 'a' i.e., Caroli's diseaseCentral Dot sign* Central dot sign refers to tiny dots with strong contrast enhancement of portal vein within dilated hepatic bile ducts on CT.* Central dot sign is seen in: -i) Caroli's disease (me. cause)ii) Obstructive jaundiceiii) Prebiliary cystiv) Periportal lymphedema